A 35-years-old lady is not having her menses for last 4 months. She has high serum FSH and LH level with low estradiol. The likely cause is:
1. Panhypopituitarism
2. Polycystic ovarian disease
3. Exogenous estrogen administration
4. Premature menopause

Correct answer: 4. Premature menopause